Cell type which lacks HLA is -
1. Monocyte
2. Thrombocytes
3. Neutrophil
4. Red blood cell

Correct answer: 4. Red blood cell